Entacapone used in parkinsonism is:
1. Dopamine agonist
2. MAO inhibitor
3. COMT inhibitor
4. Dopa decarboxylase inhibitor

Correct answer: 3. COMT inhibitor

Explanation: Ans. C. COMT inhibitorAmong the following drugs, ropinirole and pramipexole is dopamine agonist. Selegiline and rasagiline is MAO inhibitor. Entacapone and tolcapone is COMT inhibitor and carbidopa is dopamine decarboxylase inhibitor.